Hyaline cartilage is developed from?
1. Mesoderm
2. Ectoderm
3. Ectomesoderm
4. Endoderm

Correct answer: 1. Mesoderm